Which of the following is the classical CSF finding seen in TBM?
1. Increased protein, decreased sugar, increased lymphocytes
2. Increased protein, sugar and lymphocytes
3. Decreased protein, increased sugar and lymphocytes
4. Increased sugar, protein and neutrophils

Correct answer: 1. Increased protein, decreased sugar, increased lymphocytes

Explanation: Harrison's textbook of internal medicine 17the edition *CSF revealed a high leucocyte count (up to 1000/microL),usually with predominance of lymphocyte s ,but sometimes with predominance of neutrophils in early stage ,protein count of 1-8g/L and low glucose concentration .